Pauci immune glomerulonephritis is seen in aEUR'
1. After transplant in alports
2. Microscopic polyangiitis
3. Henoch-Schonlein nephritis
4. Lupus

Correct answer: 2. Microscopic polyangiitis

Explanation: Microscopic polyangitis fRef Bobbin's Th/e p. 976] Rapidly progressive glomerulonephritis may be caused by number of different diseases, some restricted to the kidneys and others systemic. Although no single mechanism can explain all cases, there is little doubt that in most cases, the glomerular injury is immunologically mediated. Thus a practical classification divides rapidly progressive glomerulonephritis into three groups on the basis of immunological findings. RAPIDLY PROGRESSIVE GLOMERULONEPHRITIS II Type RPGN Type I RPGN (anti GBM antibody) m (Immune (I complex) Type III RPGN (Pauci immune) * Idiopathic * Idiopathic * ANCA associated * Goodpasture * Post infectious * Idiopathic syndrome * Systemic lupus * Wegener erythematous granulomatosis * Henoch schnolein * Microscopic PAN purpura * Microscopic polyangitis